Progestasert is effective for :
1. 1 year
2. 2 years
3. 4 years
4. 5 years

Correct answer: 1. 1 year

Explanation: 1 year